Kayser fleischer ring is seen in -
1. Siderosis
2. Chalcosis
3. Open angle glaucoma
4. Chemical injuries

Correct answer: 2. Chalcosis

Explanation: Chalcosis- It refers to the specific changes produced by the alloy of copper in the eye. Mechanism - copper ions from the alloy are dissociated electrolytically and deposited under the membranous structures of the eye. KF ring is due to deposition of copper under peripheral parts of descemets membrane of cornea. Fleischer ring - seen in keratoconus (epithelial iron deposits - base of the cone) Ref: Parson's 22nd edition, page no.396